Sec 174CrPC deals with
1. Policy inquest
2. Magistrate inquest
3. Coroner's inquest
4. Summons

Correct answer: 1. Policy inquest

Explanation: Police inquest The officer in charge of police station conducts the inquest(Sec 174CrPC). The police officer conducting the inquest is called the investigating officer. Police officer may summon persons for investigation purpose according Sec 175Cr PC. Refusak of the summons is punishable upto 6 months and fine upto 1000 rupees. Ref: FORENSIC MEDICINE AND TOXICOLOGY Dr PC IGNATIUS THIRD EDITION PAGE 7